Microvesicular type of fatty liver is Seen in the following except
1. Acute fatty liver of pregnancy
2. Alcoholic liver disease
3. Reye's syndrome
4. Phosphorus intoxication

Correct answer: 2. Alcoholic liver disease

Explanation: Fatty liver disease means you have extra fat in your liver. You might hear your doctor call it hepatic steatosis. Heavy drinking makes you more likely to get it. Over time, too much alcohol leads to a buildup of fat inside your liver cells. This makes it harder for your liver to work. But you can get fatty liver disease even if you don't drink a lot of alcohol Refer robbins 9/e